The maximum interactions with matter in a dental X-ray beam occurs in the form of
1. Coherent scattering
2. Photoelectric absorption
3. Compton scattering
4. Characteristic radiation

Correct answer: 3. Compton scattering